A 35 year old lady complains dysphagia, Raynaud's phenomenon, sclerodactyly. Investigations show antinuclear antibody. The likely diagnosis is ?
1. Systemic lupus erythematosis
2. Systemic sclerosis
3. Mixed connective tissue disorder
4. Rheumatoid arthritis

Correct answer: 2. Systemic sclerosis

Explanation: Ans. is 'b' i.e., Systemic sclerosiso Dysphagia, Raynaud's phenomenon, sclerodactyly in 35 years old lady suggest the diagnosis of systemic sclerosis (see above explanations).I think option 'b' needs some explanation here.Mixed connective tissue diseaseo Patients having the co-existence of features suggestive of SLE, polymyositis, Rheumatoid arthritis and systemic sclerosis.